Super antigens is produced by which of the following
1. Streptococcus Pyogenes
2. Clostridium Perfringens
3. Vibrio cholerae
4. Staphylococcus epidermidis

Correct answer: 1. Streptococcus Pyogenes

Explanation: ref : anathanaryana